OCD is associated with which personality
1. Anakastic
2. Borderline
3. Narcissistic
4. Histrionic

Correct answer: 1. Anakastic

Explanation: The course of Anankastic/ OCPD is variable and unpredictable. From time to time they may develop obsessions and compulsions in the course of disorder. Ref: Synopsis of Psychiatry, 11e, pg 756.